Not true about posterior dislocation of hip
1. Dashboard injury
2. Vascular sign of narath is seen
3. Sciatic nerve injury
4. Trendelenberg test is negative

Correct answer: 4. Trendelenberg test is negative